Iodine requirement in pregnancy and lactation is
1. 90 mcg
2. 120 mcg
3. 150 mcg
4. 250 mcg

Correct answer: 4. 250 mcg

Explanation: Pre school Children - 90 mcg.
School Children ( 6-12 years ) - 120 mcg.
Adults ( > 12 years ) - 150 mcg.
Pregnancy and lactation - 250 mcg.